All of the following increases effect of warfarin except-
1. Cimetidine
2. Disulfiram
3. Cotrimoxazole
4. Griseofulvin

Correct answer: 4. Griseofulvin

Explanation: Ans. is ' d ' i.e., Griseofulvin